According to WHO, exclusive breast milk is given upto -
1. 6 months
2. 4 months
3. 8 months
4. 10 months

Correct answer: 1. 6 months

Explanation: No other food is required to be given until 6 months after birth. REF. PARK'S TEXTBOOK OF PREVENTIVE AND SOCIAL MEDICAL 21ST EDITION. PAGE NO - 489